A man loses his right hand in a farm accident, four years later, he has episodes of severe pain in the missing hand (phantom limb pain). A detailed PET scan study of his cerebral cortex might be expected to show
1. Expansion of the right hand area in his right somatic sensory area I (SI)
2. Expansion of the right hand area in his left SI
3. Projection of fibre from neighboring sensory areas into the right hand area of his right SI.
4. Projection of fibers from neighbouring sensory areas into the right hand area of his left SI

Correct answer: 4. Projection of fibers from neighbouring sensory areas into the right hand area of his left SI

Explanation: (Projection of fibres from neighbouring sensory areas in to the right hand area of his left SI)(125- Ganong 22nd) (176- Ganong 23rd)Projection - cortical stimulation experiments during neurosurgical procedures on conscious patients illustrate low of projection phenomenoneg. (i) Amputees - some of these patients may complain often bitterly of pain and proprioceptive sensations in the absent limb (Phantom limb)(ii) When cortical recieving area for impulses from the left hand is stimulated the patient reports sensation in the left hand not in the head